All of the following are features of hemolytic anemia, EXCEPT:
1. Increased LDH 2
2. Increased AST
3. Increased ALT
4. Increased urobilinogen in stool

Correct answer: 3. Increased ALT

Explanation: Increased Indirect bilirubin, LDH, AST, urobilinogen in urine and stool are seen in hemolysis. Serum haptoglobin will be reduced. ALT will be normal in hemolytic anemia. Ref: Harrisons Principles of Inernal Medicine, 18th edition, Page : 873